Which of the following is not the right advice, with respect to sleep hygiene?
1. Wake up at the same time
2. 30 mL and lesser amount of alcohol could be useful to induce sleep over long term
3. Use bed for sleep and sexual activity
4. Avoid daytime nap

Correct answer: 2. 30 mL and lesser amount of alcohol could be useful to induce sleep over long term

Explanation: Some basic components of sleep hygiene are: Regular, daily physical exercises (preferably not in the evening) Minimise daytime napping Avoid fluid intake and heavy meals just before bedtime Avoid caffeine intake (e.g. tea, coffee, cola drinks) before sleeping hours Avoid regular use of alcohol (especially avoid use of alcohol as a hypnotic for promoting sleep) Sleep in a dark, quiet, and comfortable environment Regular times for going to sleep and waking-up Try relaxation techniques